Which one of the following is an indication for valproate?
1. Prophylaxis for migraine
2. Complex partial seizures
3. Acute mania
4. All of the above

Correct answer: 4. All of the above

Explanation: Ans. D. All of the aboveValproic acid and its formulation derivatives divalproex sodium, extended-release (ER) divalproex sodium, and valproate sodium injection represent the first-generation mood stabilizing anticonvulsants.Valproate is currently approved by the U.S. Food and Drug Administration (FDA) for(1) Monotherapy or adjunctive therapy for complex partial seizures(2) Monotherapy or adjunctive therapy for simple and complex absence seizures(3) Adjunctive therapy for patients with multiple seizures that include absence seizures(4) Prophylaxis of migraine(5) Treatment of acute manic episodes associated with bipolar disorder.